Oxygen affinity is increased by all of the following except
1. Alkalosis
2. Hypoxia
3. Increased HbF
4. Hypothermia

Correct answer: 2. Hypoxia